A couple has two children affected with tuberous selerosis. On detailed clinical and laboratory evaluation (including molecular studies) both parents are normal. Which one of the following explains the two affected children in this family?
1. Non penetrance
2. Uniparental diasomy
3. Genomic imprinting
4. Germline mosaicism

Correct answer: 4. Germline mosaicism

Explanation: . Germline mosaicism